Oncogenic virus is -
1. CMV
2. VZV
3. Polio virus
4. EBV

Correct answer: 4. EBV

Explanation: CMV,VZV,polio are not incogenic virus.only EBV causes canxer REF:MICROBIOLOGY ANANTHA NARAYANAN NINTH EDITION PAGE.565